A 30 year old patient with radiographic appearance of endosteal bone formation, sclerosed bone is likely to be suffered from?
1. Garre's osteomyelitis
2. Chronic focaL sclerosing osteomyelitis
3. Acute osteomyelitis
4. Chronic osteomyelitis

Correct answer: 2. Chronic focaL sclerosing osteomyelitis